Dark ground microscopy is used for
1. TPI
2. Kahn's test
3. FTA-ABS
4. VDRL

Correct answer: 1. TPI

Explanation: Treponema pallidum immobilization (TPI) test Serum of patient with complement and T. pallidum are maintained in a complex medium anaerobically If the antibodies are present, the Treponemes are immobilized when examined under dark ground illumination.